Scabies is caused by a small mite that burrows into the skin. The disease is best described by which one of the following statements?
1. It is caused by a species of Sarcoptes
2. Secondary bacterial infection is rare
3. It is synonymous with Kawasaki's syndrome
4. It is best diagnosed by biopsy of the inflammatory region around the mite bite

Correct answer: 1. It is caused by a species of Sarcoptes

Explanation: Sarcoptes scabiei is a small mite that burrows into human skin. Itching is significant, and a vesicular eruption, which often becomes secondarily infected with bacteria, develops. Diagnosis is made by microscopic detection of the mites. Gamma benzene hexachloride (Kwell), a topical insecticide, is an effective treatment for scabies. A number of etiologic agents have been proposed for Kawasaki's disease (KD), among them mites, but there is no evidence that mites either cause or are vectors of KD.